Preauricular pain, grating sensation and partial trismus are the symptoms of
1. TMJ fibrous ankylosis
2. TMJ bony ankylosis
3. TMJ pain dysfurction symdnome
4. Ear infection

Correct answer: 3. TMJ pain dysfurction symdnome